Phagolysosome fusion defect is seen in?
1. Chronic granulomatous disease
2. Chediak Hegashi disease
3. LAM 1
4. LAM 2

Correct answer: 2. Chediak Hegashi disease

Explanation: Ans. is 'b' i.e., Chediak Hegashi disease